Which of the following tumor is least radiosensitive hence it is ineffective for radiotherapy?
1. Ewing's sarcoma
2. Osteosarcoma
3. Wilms tumor
4. Neuroblastoma

Correct answer: 2. Osteosarcoma

Explanation: Osteosarcoma is radioresistant; radiation therapy has no role in the routine management. Preoperative chemotherapy followed by limb-sparing surgery (which can be accomplished in >80% of patients) followed by postoperative chemotherapy is standard management. Ref: Patel S.R., Benjamin R.S. (2012). Chapter 98. Soft Tissue and Bone Sarcomas and Bone Metastases. In D.L. Longo, A.S. Fauci, D.L. Kasper, S.L. Hauser, J.L. Jameson, J. Loscalzo (Eds), Harrison's Principles of Internal Medicine, 18e.